On chronic use Linezolid leads to which of the following ?
1. Thrombocytopenia
2. Deranged LFT
3. Nephrotoxicity
4. Ototoxicity

Correct answer: 1. Thrombocytopenia

Explanation: Linezolid is Oxazolidinone. MOA: It inhibits protein synthesis by preventing formation of the ribosome complex that initiates protein synthesis by binding to 23S ribosomal RNA of the 50S subunit. It is active against Gram positive organisms including Staphylococci, Streptococci, Enterococci, Gram positive Anaerobic cocci and Gram positive bacilli such as Corynebacteria, Nocardia sp. and L.monocytogenes. It is primarily a Bacteriostatic agent but is Bactericidal against Streptococci. It is also active against Mycobacterium Tuberculosis. Thrombocytopenia is the most common complication seen with its chronic use , also Optic and Peripheral Neuropathy and Lactic acidosis can occur (due to inhibition of mitochondrial protein synthesis). Anemia and Neutropenia can also occur .